Which of these is CD marker of cytotoxic cells?
1. CD8
2. CD4
3. CD1a
4. CD1

Correct answer: 1. CD8

Explanation: Ans. (a) CD8(Ref: Robbins 9th/pg 191; 8th/pg 186)CD8Is a marker for cytotoxic T cellsActs as a co-receptor for TCRBinds to HLA-I to cause cytotoxic effect on virus infected and tumor cells